Transplantation of which one of "the following organs is most often associated with hyper-acute rejection?
1. Heart
2. Kidney
3. Lungs
4. Liver

Correct answer: 2. Kidney

Explanation: Hyperacute rejection is due to the presence in the recipient of preformed antibodies against HLA class I antigens expressed by the donor. Antibody mediated rejection generally occurs hours to days after transplantation. Kidney transplants are particularly vulnerable to hyperacute graft rejection, whereas heart and liver transplants are relatively resistant. Bailey and love 27th edition Pg: 1535